False +ive VDRL test is/are seen in-
1. Leprosy
2. Malaria
3. Relapsing fever
4. All

Correct answer: 4. All

Explanation: Ans. is 'a' i.e., Leprosy; 'b' i.e., Malaria; 'c' i.e., Relapsing fever